Units of radiation exposure is:
1. Rad
2. Roentgen
3. Rem
4. Seivert

Correct answer: 2. Roentgen